Toxic shock syndrome is due to which vaccine
1. Measles
2. Mumps
3. Salk
4. Tetanus

Correct answer: 1. Measles